Bell's palsy not responding to the steroid. What will be the further line of management -
1. Increase the dose of steroid
2. Vasodilators and ACTH
3. Surgical decompression
4. Electrophysiological nerve testing

Correct answer: 4. Electrophysiological nerve testing

Explanation: If the patient of Bell's palsy is not responding to conservative treatment, electrodiagnostic study (electrophysiological study) should be done.
The electrodiagnostic study includes electromyography (EMG), Electroneurography (ENG), minimal excitability test and maximal excitability test.
Surgery is reserved for those who meet electrodiagnostic (electrophysiological) study criteria or are worsening on medical treatment.